All of the following are examples of calcium binding proteins, EXCEPT:
1. Calmodulin
2. Troponin
3. Calbindin
4. None of the above

Correct answer: 4. None of the above

Explanation: Many different Ca2+-binding proteins have been described, including troponin, calmodulin, and calbindin. Ref: Ganong's Review of Medical Physiology 23rd edition, Chapter 2.